The site where myosin heads bind to actin in skeletal muscles are covered by:
1. Tropomyosin
2. Troponin
3. Calcium
4. None of the above

Correct answer: 1. Tropomyosin

Explanation: A i.e. Tropomyosin